Which histologic variety of Breast carcinoma is associated with best prognosis ?
1. Medullary
2. Colloid
3. Lobular
4. Tubular

Correct answer: 4. Tubular

Explanation: Tubular and mucinous type of breast carcinomas are least aggressive cancers and carries best prognosis. Infiltrating and pure medullary carcinomas have intermediate outcome. Infiltrating ductal carcinomas (NOS) is the most common form of breast carcinoma and carries worst outcome.